Which of the following allows binding of HIV to CD 4 cells  -
1. gp 120
2. gp 41
3. Proteins formed by expression of gag gene
4. ccR5

Correct answer: 1. gp 120